Hypertension with hypokalemic alkalosis is seen in?
1. Liddle syndrome
2. Gitelman syndrome
3. Barter syndrome
4. Fanconi syndrome

Correct answer: 1. Liddle syndrome

Explanation: Liddle syndrome Gain of function of epithelial Na+ channels. More salt & water accumulating in body - Hypertension Loss of K+ and H+- Hypokalemic alkalosis Gitelman Defect in DCT Salt wasting, polyurea - BP cannot be | Barter Defect in thick ascending limb of loop of Henle Salt wasting, polyuria Normotension or | B.P | Aldosterone (2deg Aldosteronium) Hypokalemic, M. Alkalosis Fanconi syndrome/Renal tubular acidosis Type 2 Etiology- Wilson disease/Expiry date Tetracycline C/F: - Bicarbonaturia, salt wasting, M. Acidosis